Vitamin required for post-translational modification of clotting factors:
1. Vitamin A
2. Vitamin D
3. Vitamin E
4. Vitamin K

Correct answer: 4. Vitamin K

Explanation: Vitamin KIt is a group of structurally similar, fat-soluble vitamins that the human body needs for post-translational modification of certain proteins required for blood coagulation, and in metabolic pathways in bone and other tissue.They are 2-methyl-1,4-naphthoquinone (3-)derivatives.This group of vitamins includes two natural vitamers: vitamin K1 and vitamin K2.